1st evidence of calcification of Maxillary deciduous Lateral incisor occurs
1. 14 wk IU
2. 16 wk IU
3. 17 wk IU
4. 15 wk IU

Correct answer: 2. 16 wk IU